Mechanism of action of nitric oxide is
1. Increase cAMP
2. Increase cGMP
3. Increase PGE2
4. Increase PGD4

Correct answer: 2. Increase cGMP

Explanation: Refer kDT 7/e 568 Nitric oxide (nitrogen oxide or nitrogen monoxide) is a colorless gas with the formula NO. It is one of the principal oxides of nitrogen. Nitric oxide is a free radical, i.e., it has an unpaired electron, which is sometimes denoted by a dot in its chemical formula, i.e., *NO. Nitric oxide is also a heteronuclear diatomic molecule, a historic class that drew researches which spawned early modern theories of chemical bonding.